In which behaviour therapy is helpful
1. Schizophrenia
2. Agoraphobia
3. Personality Disorder
4. Neurotic depression

Correct answer: 2. Agoraphobia

Explanation: B i.e. Agoraphobia